First response to decreased blood volume -
1. Increased heart rate
2. Tachypnea
3. Hypotension
4. Disorientation

Correct answer: 1. Increased heart rate

Explanation: Ans. is 'a' i.e., Increased heart rate Severity of decreased blood volume